Not  a Tests for Eustachian Tube
1. Glycerol Test
2. Valsalva Maneuver
3. Frenzel test
4. Tonybee's test

Correct answer: 1. Glycerol Test